Which one of the following statements regarding pre-post clinical trial is most appropriate -
1. They cannot be randomized
2. They are useful in studies involving mortality
3. They use the patient as his or her own control
4. They are usually easier to interpret than the comparable parallel clinical trial

Correct answer: 3. They use the patient as his or her own control